Striped fibrosis of kidney is seen in
1. Chronic rejection
2. Diabetes mellitus
3. Malignant hypertension
4. Cyclosporin toxicity

Correct answer: 4. Cyclosporin toxicity

Explanation: Cyclosporin toxicity is classically alternate fibrosis that is striped fibrosis